Paltauf's haemorrhage may be seen in :
1. Paltauf's haemorrhage may be seen in :
2. Drowning
3. Strangulation
4. Carbon Monoxide poisoning

Correct answer: 2. Drowning

Explanation: B i.e. Drowning